Muscle which dilates the palpebral aperture:
1. Orbicularis oculi
2. Orbicularis oris
3. Levator palpebrae superioris
4. Levator labii superioris

Correct answer: 3. Levator palpebrae superioris

Explanation: The levator palpebrae superioris muscle elevates and retracts the upper eyelid.